Morrison's pouch is -
1. Right subphrenic space
2. Right subhepatic space
3. Left subhepatic space
4. Left subphrenic space

Correct answer: 2. Right subhepatic space

Explanation: Ans. is 'b' i.e., Right subhepatic Subphrenic / Subhepatic spaces o These spaces are just below the diaphragm in relation to the liver. These space are : Intraperitoneal spaces are:- Left anterior space (left subphrenic space). Left posterior space (left subhepatic space or lesser sac). Right anterior space, (right subphrenic space). iv) Right posterior space (right subhepatic space or hepatorenal pouch or Morrison's pouch). Extraperitoneal spaces are Right and left extraperitoneal spaces. Midline extraperitoneal space (Bare area of the liver). o Hepatorenal pouch (Morrison's pouch is right posterior intraperitoneal space which lies between right lobe of liver and gallbladder anteriorly; and right suprarenal gland, right kidney and 2nd part of duodenum posteriorly. It is the most dependent part of the peritoneal cavity in the supine position and is the most common site for subphrenic abscess.